Positive tuberculin test signifies -
1. Active tuberculous infection
2. Body harbors tubercle bacilli
3. Presence of cavitary lesion in lung
4. Presence of matted pulmonary lymph nodes

Correct answer: 2. Body harbors tubercle bacilli

Explanation: Ans. is 'b' i.e., Body harbors tubercle bacilli Positive tuberculin test* Positive tuberculin test in great majority of cases does not indicate the presence of active tuberculosis, but rather that a body harbours tubercle bacilli which may be active infection or subclinical infection.* Yet a positive test does call for active search for activity, conservative living, and periodic examinations eventhough there is no manifest disease.* A positive tuberculin test also has other implications. Infection with tubercle bacillus means contact with tubercle bacillus. Usually this means contact with someone suffering from tuberculosis. So positive tuberculin test also implies that the close household contacts should be examined and X rayed to rule out the presence of tuberculosis.* Tuberculin test is also positive after BCG infection and after recovery from tuberculosis.